Most common cause of chronic osteomyelitis
1. Staphylococcus aureus
2. Streptococcus pyogenes
3. Mycobacterium tuberculosis
4. Staphylococcus epidermidis

Correct answer: 1. Staphylococcus aureus

Explanation: Chronic osteomyelitis is nearly always a sequel to acute osteomyelitisOccasionally infection is subacute or chronic from the beginningAs with acute osteomyelitis, the most common causative organism is staphylococcus areus(Refer: Mohindra's Fundamentals of Orthopedics, 2nd edition, pg no. 283, 284)